In which of the following layers of cornea does iron deposition occur and result in the formation of Coat's ring?
1. Epithelium
2. Bowman's membrane
3. Descemet's membrane
4. Endothelium

Correct answer: 2. Bowman's membrane

Explanation: Coat's ring is an oval deposition of iron and is usually located in the region of Bowman's layer and consists of discrete white dots located for the most parts in the inferior cornea where trauma has occurred. The white dots which consists of iron deposits are probably remnants of previous injury. The ring does not extend superficially or deeply into the cornea and observation is only needed. Ref: The Wills Eye Hospital: Atlas of Clinical Ophthalmology edited by William Tasman, M.D. page 57.